Rivastigmine is given in?
1. Parkinsonism
2. Alzheimer's disease
3. Schizophrenia
4. Anxiety

Correct answer: 2. Alzheimer's disease

Explanation: Ans. (b) Alzheimer's diseaseRef: Harrison 19th ed. / 2617* Rivastigmine is a reversible inhibitor of both the acetylcholinesterase and butyrylcholinesterase enzymes.* It is used for the treatment of Alzheimer's ,as well as for the treatment of dementia associated with Parkinson's disease. This drug is available as a skin patch that provides continuous delivery of the drug over 24 hours